Coventional X-ray film is made of?
1. Silver chloride
2. Silver bromide
3. Silver nitrate
4. Gold chloride

Correct answer: 2. Silver bromide

Explanation: *The Photosensitive material used in Xray film is Silver bromide *Double coated emulsions of silver halides,mainly silver bromide is used in conventional radiography. Silver halide is the lightsensitive material in the emulsion. The halide in medical x-ray film is about 90 to 99% silver bromide and about 1 to 10% silver iodide (the presence of Agi produces an emulsion of much higher sensitivity than a pure AgBr emulsion).